In crown down technique:
1. K file is used without reaming motion pressure.
2. K file is used with a reaming motion and no apical pressure.
3. Both can be done.
4. None of the above.

Correct answer: 2. K file is used with a reaming motion and no apical pressure.

Explanation: Crown-Down Pressureless Technique: This technique was suggested by Marshall and Pappin. Early coronal flaring with Gates-Glidden drills is followed by an incremental removal of dentin from coronal to apical direction, and hence called “Crown-down technique. Straight K-files are then used in a large to small sequence with a reaming motion and no apical pressure – hence called “Pressureless” technique.